Common childhood tumors are -
1. Acute lymphoblastic leukemia
2. Chronic lymphoblastic leukemia
3. Chronic myeloid leukemia
4. All

Correct answer: 1. Acute lymphoblastic leukemia

Explanation: Ans. is 'a' i.e., Acute lymphoblastic leukemia Childhood malignancies are :? Leukemia (AML, ALL) o Lymphoma o Bone tumor Brain tumors o Neuroblastoma o Retinoblastoma Soft tissue sarcoma ---> Rhabdomyosarcoma o Wilm's tumor